Death by medical negligence is under which I PC?
1. 304 AIPC
2. 3t2 IPC
3. 351 IPC
4. None

Correct answer: 1. 304 AIPC

Explanation: Ans. is 'a' i.e., 304 A IPC o Medical negligence act under IPC is Sec 304-A IPC.o Sec 304 A IPC pertains to "Causing death by negligenceft is punishable up to 2years. It is applied, usually, in any case of death due to a rash and negligent act, e.g. death caused by rash driving.